Postero lateral anconeus triangle is formed by
1. Head of radius, lateral epicondyle, medial epicondyle
2. Head of radius, lateral epicondyle, olecranon
3. Olecranon, medial epicondyle, neck of radius
4. Neck of radius, head of radius, lateral epicondyle

Correct answer: 2. Head of radius, lateral epicondyle, olecranon

Explanation: B i.e. Head of radius, lateral epicondyle, olecranon Radial head, lateral epicondyle and tip of olecranonQ form a triangle over the posterolateral aspect of elbow joint. This space is occupied by anconeus inuscle(2 and so known as anconeus triangle.